Acantholysis involves –
1. Epidermis
2. Dennis
3. Dermo-epidermal junction
4. Subcutaneous tissue

Correct answer: 1. Epidermis

Explanation: Separation of epidermal keratinocytes is called acantholysis.